A new born presented with bloated abdomen shortly after birth with passing of less meconium. A full thickness biopsy of the rectum was carried out. Which one of the following rectal biopsy findings is most likely to be present -
1. fibrosis of submucosa
2. Hyalinisation of the muscular coat
3. Thickened muscularis propria
4. Lack of ganglion cells

Correct answer: 4. Lack of ganglion cells

Explanation: Ans. is 'd' i.e. lack of ganglion cells The diagnosis of Hirschprung's disease is suspected in this neonate, which is confirmed on rectal biopsy by the finding of - lack of ganglion cells.